Single Sitting RCT is indicated in all except?
1. An anterior single rooted tooth where esthetics is of more concern
2. In a patient who require sedation for the management of involved tooth
3. Severe anatomic & procedural difficulty
4. Tooth with pulpal exposure because of trauma

Correct answer: 3. Severe anatomic & procedural difficulty